Functional cast bracing not used in fracture of ?
1. Humerus
2. Tibia
3. Ulna
4. Thoracolumbar spine

Correct answer: 4. Thoracolumbar spine

Explanation: Ans. is 'd' i.e., Thoracolumbar spine Functional cast bracing is used for the fracture of :- Humerus Femur Ulna Tibia